Which of these can cause 3rd nerve paralysis -a) Posterior communicating artery (PCA) aneurysmb) Tolosa-Hunt syndromec) Midbrain infarctd) Lateral medullary lasions
1. ab
2. bc
3. abc
4. bcd

Correct answer: 3. abc